Cytogenic abnormality in synovial sarcoma is:
1. t(x;18)
2. t(x;21)
3. t(11;14)
4. t(11;22)

Correct answer: 1. t(x;18)

Explanation: Tumor Cytogenetic abnormality Gene fusion Ewing sarcoma family tumors Extraskeletal myxoid chondrosarcoma Desmoplastic small round-cell tumor Clear-cell sarcoma t(11;22)(q24;q12) t(21;22)(q22;q12) t(9;22)(q22;q12) t(11;22)(p13;q12) t(12;22)(q13;q12) EWS-FLI1 EWS-ERG EWS-CHN EWS-WT1 EWS-ATF1 Synovial sarcoma t(x;18)(p11;q11) SS18-SSX1 SS18-SSX2 SS18-SSX4